Type of lung carcinoma producing superior vena cava syndrome:
1. Squamous cell carcinoma
2. Adenocarcinoma
3. Small cell carcinoma
4. Anaplastic carcinoma

Correct answer: 3. Small cell carcinoma

Explanation: Answer is C (Small cell carcinoma): The incidence of superior vena caval syndrome is highest with small cell carcinoma. Superior vena caval syndrome (SVC syndrome) SVC syndrome results from an impedance in outflow from superior vena cava due to external compression The most common cause of SVC syndrome is external compression by a malignant tumoure The most common malignant tumor causing SVC syndrome is bronchogenic carcinomas The most common histological type of bronchogenic carcinoma causing SVC syndrome is small cell carcinomas